Portosystemic shunt is not seen in -
1. Liver
2. Spleen
3. Anorectum
4. Gastro Esophageal

Correct answer: 2. Spleen

Explanation: Portocaval anastomosis (portosystemic shunt) is seen at lower end of the esophagus (gastroesophageal), umblicus, the bare area of the liver, lower end of the rectum (anorectal), posterior abdominal wall, falciform ligament, ligamentum venosum, and posterior vaginal wall.